"Demographic bonus" connotes the period when the dependency ratio in a population declines because of :-
1. Decline in fertility
2. Decline in mortality
3. Decline in morbidity
4. Increase in longevity

Correct answer: 1. Decline in fertility

Explanation: "Demographic bonus" connotes the period when the dependency ratio in a population declines because of decline in fertility, until it starts to rise again because of increasing longevity. "Demographic burden" is used to connote the increase in the total dependency ratio during any period of time, mostly caused by increased old age dependency ratio Dependency ratio = (Proportion of ppl in < 15yrs of age + >65yrs of age) / Proportion of ppl in 15-64 yrs of age